Parrot like repetitive speech is found in:
1. Autism
2. Cerebral palsy
3. Marfan's syndrome
4. Intellectual disability

Correct answer: 1. Autism

Explanation: Autism  spectrum  disorder  (ASD)  includes  three  neurodevelopmental disorders: autism disorder, Asperger syndrome, and pervasive development disorder (PDD).

There are three levels of impairment noted. 
The first notable impairment is social, which, in some cases is extreme,  with  lack  of  eye  contact  and  not  responding  to one’s name.
 The second is an impairment in communication, which can result in the delay or complete lack of spoken  language.  Children  with  Asperger  syndrome  do not have a general delay in language or cognitive development;  however,  they  often  have  communication  difficulties, especially in sustaining conversations.
The third area of impairment in ASD is repetitive behaviors. They may include staring, floppy hands, an odd interest in or preoccupation with specific objects.
Parrot like repetitive speech is found in Autism.

Reference: McDONALD AND AVERY’S DENTISTRY for the CHILD and ADOLESCENT, 10th ed page no 528